Ssytemic infection is caused by all fungi except
1. Cryptococcus
2. Histoplasma
3. Dermatophytes
4. Paracoccidioides

Correct answer: 3. Dermatophytes

Explanation: Ans. is 'c' i.e., Dermatophytes Fungus infections Human fungus infections are broadly of two types : Superficial Deep seated (systemic)